All of the following are true about japanese encephalitis except -
1. Man to man transmission is not reported
2. Culex mosquito is the vector
3. 90%-100% mortality rate
4. There is no rash or local lesion

Correct answer: 3. 90%-100% mortality rate

Explanation: During 2008,about 3839 cases with 684 deaths and during 2009, 4,482 cases and 774,deaths were reported.Ref.PARK'S TEXTBOOK OF PREVENTIVE AND SOCIAL MEDICINE 21st edition page no 260